Which of the following is feature of Diffuse axonal injury:
1. No unconsciousness
2. Transient unconsciousness
3. Prolonged unconsciousness
4. None of the above

Correct answer: 3. Prolonged unconsciousness

Explanation: Ans. C: Prolonged Unconsciousness Diffuse axonal injury (DAI) is one of the most common and devastating types of traumatic brain injury, meaning that damage occurs over a more widespread area than in focal brain injury. DAI, which refers to extensive lesions in white matter tracts, is one of the major causes of unconsciousness and persistent vegetative state after head trauma. It occurs in about half of all cases of severe head trauma and also occurs in moderate and mild brain injury